False about Pulse polio immunization is -
1. Mop up immunization is done in restricted geographical areas
2. It is carried out in all children less than 5 yrs of age
3. Mopping up is done in areas where wild polio virus is found
4. AFP surveillance is done in all children <5 years of age

Correct answer: 4. AFP surveillance is done in all children <5 years of age

Explanation: - pulse polio immunisation is simultaneous mass administration of OPV on a single day to all children below 5 years irrespective of previous immunisation. - mopping up involves door to door immunisation in high risk districts, where wild polio virus is known or still circulating. - AFP surveillance is done in all children below age of 15 years. Reference : Park's textbook of preventive and social medicine, 23rd edition, pg no:209